Which of the following affects the wound healing most:
1. Cortisol
2. Growth hormone
3. Thyroxin
4. Adrenaline

Correct answer: 1. Cortisol